In 3x3 table, the degree of freedom is
1. 3
2. 6
3. 9
4. 4

Correct answer: 4. 4